Type of laser used for iridotomy -
1. Excimer
2. Krypton red
3. Nd: YAG
4. Diode

Correct answer: 3. Nd: YAG

Explanation: Laser wavelength (Nanometer) clinical applications Nd:YAG 1064 posterior capsulotomy, iridotomy, vitreolysis Argon green 514 trabeculoplasty, iridoplasty Krypton red 714 retinal photocoagulation Excimer( argon flouride) 193 photorefractive keratectomy(PRK), LASIK Diode laser 800 retinal photocoagulation Femtosecond laser ( neodymium- glass) 1053 Femtosecond laser assisted refractive surgery, lamellar and full thickness corneal transplants